What should be the loss of hearing at least for Weber's test to lateralise -
1. 5 dB
2. 10 dB
3. 15 dB
4. 20 dB

Correct answer: 1. 5 dB